Degloving injury is characterised by
1. Loss of Skin only
2. Loss of Skin and Subcutaneous tissue along with Fascia
3. Loss of Skin and Subcutaneous tissue with intact fascia
4. Loss of Skin, Subcutaneous Tissue and Muscle

Correct answer: 3. Loss of Skin and Subcutaneous tissue with intact fascia

Explanation: Degloving Injury is defined as an Avulsion injury including the following layers:- * Skin * Subcutaneous Tissue with intact fascia Ref:- Bailey and Love 27th Edition; Pg num:- 27